A 35-year-old woman is admitted to the hospital with a complaint of shortness of breath. During physical examination it is noted that there is wide splitting in her S2 heart sound. Which of the following valves is/are responsible for production of the S2 heart sound?
1. Mitral valve
2. Pulmonary and aortic
3. Aortic and mitral
4. Tricuspid

Correct answer: 2. Pulmonary and aortic

Explanation: The S2 heart sound refers to the second (dub) heart sound. This sound is produced by the closure of the aortic and pulmonary semilunar valves. The closure of mitral/bicuspid and tricuspid valves produce the first S1 (lub) heart sound.